Nodules seen near the collarette are called
1. Busacca's nodules
2. Koeppe's nodules
3. Lisch nodules
4. Dalen fuch's nodules

Correct answer: 1. Busacca's nodules

Explanation: (Refer: AK Khurana Comprehensive Ophthalmology, 6th edition, pg no. 153, 156, 504, 524)Koeppe's nodules are situated at the pupillary border and may initiate posterior synechiaBusacca's nodules situated near the collarette are large but less common than the Koeppe's nodules